Which is a hinge joint :
1. Knee
2. Elbow
3. Metacarpophalangeal
4. Atlanto Axial

Correct answer: 2. Elbow

Explanation: B i.e. Elbow